M in 99Tc"' stands for?
1. Micro
2. Mega
3. Metastable
4. Metastatic

Correct answer: 3. Metastable

Explanation: Metastable REF: Nuclear Physics: Principles And Applications by Lilley Page 20 "In 99Tcm the superscript M denotes that the technetium 99 is not in its ground state but a long lived metastable excited state"